During the process of chlorination of water, the disinfecting action of chlorine is due to the formation of -
1. Hydrochloric acid only
2. Hypochlorous acid only
3. Hydrochloric acid and hypochlorite ions
4. Hypochlorous acid and hypochlorite ions

Correct answer: 4. Hypochlorous acid and hypochlorite ions

Explanation: When chlorine is addedto water there is formation of hydroxhloric acid and hypochlorous acid.The hydrochloric acid is neutralized by the alkalinity of water.The hypochlorous acid ionizes to form hydrogen ions and hypochlorite ions.The disinfwcting action of chlorine is mainly due to hypochlorous acid ,and to smal extent due to hypochlorite ions. Parks textbook of preventive and social medicine.K Park. Edition 23.Pg no: 714